Homeobox gene is responsible for:
1. Segmental organization of embryo in craniocaudal direction
2. Proper organization along dorsal ventral axis
3. Stimulation for lengthening of limbs
4. All of the above

Correct answer: 1. Segmental organization of embryo in craniocaudal direction

Explanation: Ans. A Segmental organization of embryo is craniocaudal directionRef: Netter's Atlas of Human Embryology, 2012 ed. pg. 10* Homeobox (HOX) gene is involved in segmental organization of embryo in cranio-caudal direction. The mutation in gene leads to formation of appendages in wrong locations.* Sonic hedge-hog gene is involved in patterning in A-P axis. The mutation in this gene leads to holoprosencephaly.